Herpes gestatioinalis is
1. Caused by Herpes virus
2. Autoimmune reaction to collagen XVII in  basement membrane of skin
3. Neutrophilic degranulation at dermal - epidermal junction
4. Less severe in subsequent pregnancies.

Correct answer: 2. Autoimmune reaction to collagen XVII in  basement membrane of skin

Explanation: Herpes gestationalis (pemphigoid gestationis ) is characterized by eosinophilic degranulation at dermal-epidermal junction. Becomes severe with subsequent pregnancies.